A woman on combined OCPs forgot to take them for 2 successive doses. Next line of management is:
1. Continue next pill next day onwards
2. Take 3 pills next day, then shift on one pill per day
3. Take the pill as soon as possible and continue remaining pills at usual time plus use back up contraception (condom or abstinence) for next 7 days
4. Take 2 pills each for rest of the cycle

Correct answer: 3. Take the pill as soon as possible and continue remaining pills at usual time plus use back up contraception (condom or abstinence) for next 7 days

Explanation: RECOMMENDATION OF MISSED OCPs 1 pill missed Take missed as soon as possible Then continue with one pill per day 2 or more pills missed: Take most recent pill as soon as possible Continue taking remaining pills at usual time Use back up contraception (e.g, condoms) or avoid sexual intercourse until hormonal pills have been taken for 7 consecutive days